Chitin held together by
1. a (1 - 4) glycosidic bond
2. a (1 - 6) glycosidic bonds
3. b (1 - 4) glycosidic bond
4. b (1 - 6) glycosidic bonds

Correct answer: 3. b (1 - 4) glycosidic bond

Explanation: (P (1-4) gluycosidic bonds) (22-US 3rd)CHITIN - is composed of N-acetyl-D-glucosamine units held together by p (1 - 4) glycosidic-bondsStarch* Amylose - a (1-4) glycosidic linkage* Amylopectin - a (l- 6) glycosidic bonds at the branching points and a (l- 4) linkages* Amylase - acts specifically on a (1-4) glycosidic bondsGlycogen - Glucose is the repeating unit in glycogen joined together by a (1-4) glycosidic bonds and a (1-6) glycosidic bonds at branching points.Cellulose - composed of b-D-glucose units linked by b (1- 4) glycosidic bondsIn isomaltose, the glucose units are held together by a (1- 6) glycosidic linkage